Most common cause of non gonococcal septic arthritis is ?
1. Staph aureus
2. H. influenzae
3. Streptococcus pyogenes
4. Pneumococcus

Correct answer: 1. Staph aureus

Explanation: Ans. is 'a' i.e., Staph aureusStaphylococcus aureus is the most common cause of septic arthritis in all ages although group-B streptococcus is also a common cause in newborns.H. influenzae was a common cause of septic arthritis in children but has now become rare due to the routine use of the conjugate vaccine. In young sexually active adolescents and adults two bacteria are commonly implicated.Staph aureus (non-gonococcal septic arthritis)Neisseria gonorrheae (vonococcal septic arthritis).